All statements about papillary thyroid cancer are true except:
1. It is the most common subtype of thyroid cancer
2. The most common variant, and the one most liable to misdiagnosis is follicular variant
3. Is not associated with radiation as a risk factor
4. Diagnosis is made by the presence of nuclear finding and not on papillae formation

Correct answer: 3. Is not associated with radiation as a risk factor

Explanation: Discussing options one by one: OPTION 1 - TRUE - Papillary thyroid cancer is most common subtype of thyroid cancer OPTION 2 - TRUE - Follicular variant of papillary cancer is most common type & is easily misdiagnosed as follicular ca. OPTION 3 - FALSE - RET-PTC gene mutation & radiation exposure are most important risk factors. OPTION 4 - TRUE - Its diagnosis is made by presence of nuclear finding like Orphan Annie eye nuclei, intranuclear inclusions ("pseudo-inclusions") ,intranuclear grooves & not on papillae formation.